While doing thoracocentesis, it is advisable to introduce needle along?
1. Upper border of the rib
2. Lower border of the rib
3. In the center of the intercostals space
4. In anterior part of intercostals space

Correct answer: 1. Upper border of the rib

Explanation: Thoracocentesis is a surgical puncture on the chest wall for aspiration of fluid or air from the pleural cavity. It is advisable to introduce needle along the upper border of the rib to avoid avoid the neurovascular bundle that runs below the rib.Also Know:Never remove more than 1000-1500 mL per tap in patients with chronic effusions (eg, malignant effusions). Doing so can cause hypotension or development of pulmonary edema due to reexpansion of compressed alveoli.